Action of calmodulin isa) Ca2+ dependentb) Through calmodulin dependent kinasesc) Through cAMP dependent kinasesd) Through cGMP dependent kinases
1. ac
2. a
3. ad
4. ab

Correct answer: 4. ab

Explanation: Calcium and calmodulin forms a complex which activates myosin kinase that phosphorylates myosin head. Myosin kinase is a muscle phosphorylase.